Lochia rubra is seen up to :
1. 5 days
2. 10 days
3. 15 days
4. 20 days

Correct answer: 1. 5 days

Explanation: 5 days